In Buggery, the victim in called paederasty if he is
1. Young boy
2. Young girl
3. Old woman
4. Old man

Correct answer: 1. Young boy

Explanation: Ans. a (Young boy) (Ref. Reddy's essentials of FMT 23rd 1346)Sodomy (buggery) is anal intercourse between two males or, between a male and female. It is also called buggery. It is called gerontophilia when the active agent is an adult and paederasty, when the passive agent is a young boy, who is known as catamite.# A paedophile is an adult who repeatedly engages in sexual activities with children below the age of puberty.# The consent of sodomy is of no value, as both partners are punishable.# Incest: Incest is a sexual intercourse by a man with a woman, who is closely related to him by blood, e.g., a daughter, grand daughter, sister, stepsister, aunt and mother. In India, incest as such is not an offence.# Paraphilias: Abnormal and unorthodox sex play by using unusual objects or parts of the body are known as paraphilia.# Unnatural Offences (Voluntary sexual intercourse against the order of nature with any man or woman or animal is an unnatural sex offence . These offences are punishable with imprisonment for life or up to 10 y and also with fine).A. HomosexualityMeans persistent emotional and physical attraction to members of same sex.B. Sodomy (buggery)Is anal intercourse between two males or, between a male and female. It is also called buggery.It is called gerontophilia when the active agent is an adult and paederasty, when the passive agent is a young boy, who is known as catamite.0A paedophile is an adult who repeatedly engages in sexual activities with children below the age of puberty.The consent of sodomy is of no value, as both partners are punishable.C. Buccal coitus (coitus per os or sin of Gommorrah)The male organ is introduced into mouth, usually of a young child.1. Male prostitutes are called --Eunuchs.2. Castrated Eunuchs--Hijrahs.3. Eunuchs with intact genitalia--Zenana.D. TribadismFemale homosexuality is known tribadism or lesbianism.Sexual gratification of a woman is obtained by another woman by simple lip kissing, generalized body contact, deep kissing, manual manipulation of breast and genitalia, genital apposition, friction of external genital organs etc. In some cases, enlarged clitoris is used as an organ of passion or some artificial penis or phallus may be used. Many lesbians are masculine in type, possibly because of endocrine disturbances. The practice is usually indulged in by women who are mental degenerates or who suffer from nymphomania (excessive sexual desire).Lesbians who are jealous of one another, when rejected may commit homicide, suicide or both.E. BestialityBestiality is sexual intercourse by a human being with a lower animal. Dogs and cats are common animals for female. Usually the animal manipulates the genitalia with its mouth and the actual coitus is very rare.Sexual Perversions .UranismPerversion of sexual instinct.SadismIn sadism, sexual gratification is obtained or increased from acts of physical cruelty or causing of pain upon one's partner. The term is derived from the name of a French nobleman, the Marquis de Sade, infamous for his crimes and writings. Many of his stories were about sexuality, cruelty, and torture.MasochismOnly on receiving painful stimulus from sexual partner. Sexual asphyxia (autoerotic hanging) is seen. Autoerotic death may occur.BondageSadism and masochism are foound together with one type dominant over other.Fetichism QSexual gratification asociated with contact and site of central parts of female body or even clothings or other objects known as fetish objects.ExhibitionismIt is a willful and intentional exposure of the genitalia in a public place while in the presence of others, to obtain sexual pleasure. This is punishable under Sec 294 IPC with imprisonment up to 3 months or fine.Transvestism or eonism UranismDesire to be identified with the opposite sex or some find sexual pleasure in wearing clothes of opposite sex.Sexual gratification by fingering, fondling, fellatio, cunnilingus, etc.Voyeurism/ scotophilia /peeping tomsDesire to watch sexual intercourse or to observe genitals of others.TrolismExtreme degree of Voyeurism. A perverted husband stimulated by watching his wife having sexual intercourse with another man.Frotteurism Urolangia/Sexual gratification by rubbing genitalia aganist another person.coprophilisSexual excitement provoked by sight or odour of urine/feaces.Lust murderIn extreme cases of sadism, murder serves as a stimulus for sexual act and becomes equal to coitus.Sexual oraltsmIt is the obtaining of sexual pleasure from the application of the mouth to the sexual organs. Sin of Gommorrah - Buccal coitus, coitus per os.Felatio - is the oral stimulation or manipulation of the penis either by the female or male. Cunnilingus is the oral stimulation of the female genitalia.Masturbation (Onanism, ipsation)Masturbation is the deliberate self stimulation, which effects sexual arousal. In females, a finger is gently and rhythmically moved over clitoris or labia minora or steady pressure is applied over these parts with several fingers or whole hand. Masturbation is an offence when practiced openly e.g. in telephone booth, lavatories etc.IndecentIndecent assault is an offence committed on a female, with the intention or knowledge to outrageAssaulther modesty.This includes: Kissing of any part of female body, Pressing the breasts or private parts, Touching private parts or thereabout including thighs, Exposing her genital parts or breasts, A medical practitioner can be accused of indecent assault if he examines a female patient by stripping her clothes without her consent and even with her consent in the absence of a female attendant (viz. nurse). Such assaults are punishable under Sec 354 IPC up to 2 years imprisonment and/or fine.